Proteins can be separated by the following methods except:
1. Electrophoresis
2. Ultra-centrifugation
3. Gas-liquid Chromatography
4. Salt separation

Correct answer: 3. Gas-liquid Chromatography

Explanation: Ans. C. Gas-liquid ChromatographySeparation of Plasma proteins by:a) Salting out method (using ammonium sulphate)Three proteins are separated- Albumins- Full Saturation- Globulins-Half Saturationb) Gas Liquid chromatography is used to separate volatile substances on heating. Therefore not used to separate proteins, because they get coagulated or denatured